Rothera's test is used for the detection of-
1. Reducing sugar
2. Blood
3. Ketone body
4. Protein

Correct answer: 3. Ketone body

Explanation: Ans. is 'c' i.e., Ketone bodyBiochemical tests used to detect abnormal constituents of urineAbnormal constituentTestReducing SugarBenedict's testMonosaccharideBarfoed's testFructoseSeliwanoff s test/ Foulger's testGalactoseMucic acid testKetone bodyRothera's test (acetoacetate and acetone)Gerhatrdt's test (Acetoacetate)BloodBenzidene testProteinSulphosalicylic acid testAlbuminHeat coagulation testBile saltHay's testBile pigmentFouchet's test